Sultanpur technique is used for
1. Shoulder dislocation
2. Lateral condyl humerus fracture
3. Elbow dislocation
4. Monteggi fracture

Correct answer: 2. Lateral condyl humerus fracture